A chronic alcoholic presents with abdominal pain radiating to the back that responds to analgesics. At evaluation the pancreatic duct was found to be dilated and stones were noted in the tail of pancreas. The most appropriate management is:
1. Pancreatic Tail Resection
2. Pancreatico Jejunostomy
3. Percutaneous removal of stone
4. Medical Management

Correct answer: 4. Medical Management

Explanation: Dilated pancreatic duct and stones in the tail of pancreas suggest diagnosis of chronic pancreatitis.

Surgical intervention in the treatment of chronic pancreatitis is considered when

the pain is severe enough to limit the patient's lifestyle or reduce productivity.
the pain persists despite complete abstinence from alcohol and administration of non-narcotic analgesics.



Here the patient's pain is not intractable and can be controlled by analgesics. Thus he does not need any surgical intervention and can be well managed by medicines and abstinence from alcohol.
Abstinence from alcohol has been shown to provide relief from pain and recurrent attacks of pancreatitis in more than half of cases.